All of the following regarding meconium aspiration syndrome is true except
1. Aspirated meconium can lead to pulmonary hypertension
2. Is a risk factor for neonatal acidosis
3. Intrapartum Amnioinfusion can reduce meconium aspiration
4. Ventilatory support is considered to be treatment

Correct answer: 3. Intrapartum Amnioinfusion can reduce meconium aspiration

Explanation: Intrapartum amnioinfusion is not recommended to reduce meconium aspiration syndrome.